All of the following are causes of "lupus", except :
1. Hydralazine
2. Clofibrate
3. Penicillamine
4. Chlorpromazine

Correct answer: 2. Clofibrate

Explanation: Drugs associated with Lupus Erythematosus.